Hebra nose is caused by:
1. Frisch bacillus
2. Staph aureus
3. Pseudomonas
4. C. diphtheriae

Correct answer: 1. Frisch bacillus

Explanation: Ans. is. 'a' i. e., Frisch bacillus